Stone which is resistant to lithiotripsy
1. Calcium oxalate
2. Triple phosphate stone
3. Cystine stone
4. Uric acid stone

Correct answer: 3. Cystine stone

Explanation: lithiotripsy  is a medical procedure involving the physical destruction of hardened masses like kidney stones.